The difference between leukemia and leukemoid reaction is done by -
1. Leukocyte alkaline phosphatase
2. Immature cells
3. Total leukocyte count
4. E.S.R.

Correct answer: 1. Leukocyte alkaline phosphatase

Explanation: Leukemoid reaction is defined as a reactive excessive leukocytosis in peripheral blood resembling that of leukemia in a subject who doesnot have leukemia. Leucocyte alkaline phosphatase (LAP) score in the cytoplasm of mature neutrophils is high in leukaemoid reaction whereas reduced in CML .It is very useful to distinguish between the two. Reference; Harsh Mohan textbook of pathology, 7th edition.Pg no.332